Vitiligo is characterized by
1. Absent Melanocytes
2. Defective Melanocytes
3. Defective enzyme tyrosinase
4. None

Correct answer: 1. Absent Melanocytes

Explanation: VITILIGO Etiology:- Exact etiology of vitiligo is not known and different patterns of vitiligo may have different pathogenesis. Genetic:- Genetic factors definitely important, since 20% of patients have a positive family history. Inheritance may be polygenic Autoimmune hypothesis:- Evidence which points to an autoimmune etiology includes: Frequent association with other autoimmune disorders like alopecia areata and thyroid disorders. Presence of antibodies to melanocytes. Presence of lymphocytes in early lesions. Neurogenic hypothesis:- Segmental vitiligo is present along a dermatome in distribution of nerves, suggesting a neurogenic origin. It has been hypothesized that a toxin, which destroys melanocytes, is released at the nerve endings. Ref:- NEENA KHANNA; pg num:-149,150